Stability of ankle joint maintained by the following except:
1. Cruciate ligaments
2. Collateral ligaments
3. Tendons of muscles attached
4. Close approximation of articular surfaces

Correct answer: 1. Cruciate ligaments

Explanation: A i.e. Cruciate ligaments